A patient can be taught to control his involuntary physiological responses by which of the following therapies -
1. Breathing therapy
2. Stress modification
3. Biofeedback
4. Rational emotive therapy

Correct answer: 3. Biofeedback

Explanation: Biofeedback is the use of an instrument which provides immediate feedback to the patient regarding his physiological activities normally not available to the conscious mind. The feedback helps the patient, apparently to control these responses.